Treatment of stage III carcinoma of oral tongue is:
1. Wide excision
2. Wide excision with supraomohyoid neck dissection
3. Wide excision with supraomohyoid neck dissection and post-operative radiotherapy
4. Radiotherapy delivering 7000 cGy

Correct answer: 3. Wide excision with supraomohyoid neck dissection and post-operative radiotherapy

Explanation: Stage III carcinoma tongue means tumour more than 4 cm in greatest dimension with no neck nodes or tumour of T1 (<2cm),T2 (2-4cm)orT3 (>4cm) with a single ipsilateral node >3cm.Treatment will include wide excision of primary tumour with neck dissection and post-operative radiotherapy.All patients with stage III or stage IV carcinoma require post-operative radiotherapy in addition to surgery as this improves locoregional control of disease.